In basic life support (BLS), support is given to which of the following organ -a) Lungb) Heartc) Kidneyd) Skeletal musclee) Brain (CNS)
1. abc
2. bcd
3. cde
4. abe

Correct answer: 4. abe